Expansile lytic lesion with fluid-fluid levels within the metaphysis of fibula seen in CT/MRI in an early adolescent female is typical of:
1. Giant cell tumor
2. Aneurysmal bone cyst
3. Hemangioma
4. Fibrous dysplasia

Correct answer: 2. Aneurysmal bone cyst

Explanation: Ans BFluid fluid levels can be seen in both ABC and GCT but key to remember here is the age. ABC is tumour of adolescence while GCT appears only after fusion of epiphyseal plates.